The endothelins are secreted mainly by endothelial cells. All of the following are true, EXCEPT:
1. Enhances renal pressure natriuresis
2. Vasoconstriction
3. Decreased GFR
4. Act on the heart to cause hypertrophy

Correct answer: 1. Enhances renal pressure natriuresis

Explanation: Endothelin-1 (ET-1), the most powerful vasoconstrictor produced in humans. ET-1 decreases GFR and renal plasma flow through stimulation of vascular smooth muscle and mesangial cell contraction. ET-1 can also act on the heart to cause hypertrophy, on the adrenal gland to release aldosterone, and on the kidney to promote sodium and water retention. Ref: Hall J.E., Granger J.P., Jones D.W., Hall M.E. (2011). Chapter 69. Pathophysiology of Hypertension. In V. Fuster, R.A. Walsh, R.A. Harrington (Eds), Hurst's The Heart, 13e.